Lisch nodule is seen in :
1. Von Reclinghausens disease
2. Lupus vulgaris
3. Leprosy
4. LGV

Correct answer: 1. Von Reclinghausens disease

Explanation: A i.e. Von Recklinghausens disease Features of Von Recklinghausens ds. (neurofibromatosis) Cafe' au laitQ (brown macules) Axillary frecklesQ (diagnostic feature) Lisch nodule (iris hamartoma)Q Skin coloured to pink mauve compressible soft tissue tumor.